Which tendon is affected is lateral epicondylitis?
1. Extensor Carpi Radialis Brevis
2. Extensor Carpi Radialis Longus
3. Flexor Pollicis Longus
4. Supinator

Correct answer: 1. Extensor Carpi Radialis Brevis

Explanation: Ans. is 'a' i.e., Extensor Carpi Radialis Brevis Tennis elbow* Tennis elbow is a type of repetitive strain injury resulting from tendon overuse and failed healing of the tendon.* The extensor carpi radialis brevis muscle plays a key role.* Histological findings include granulation tissue, microrupture, degenerative changes, and there is no traditional inflammation.As a consequence, "lateral elbow tendinopathy or tendinosis" is used instead of "lateral epicondylitis".